Delayed cord clamping in preterm neonate has following effects except
1. Higher red cell volume
2. Higher rate of NEC
3. Lower rate of intraventricular hemorrhage
4. Lowers need of blood transfusion

Correct answer: 2. Higher rate of NEC

Explanation: Delayed cord clamping decreases risk of necrotizing enterocolitis in preterm neonate.